All are seen in DKA except:
1. Tachycardia
2. Dehydration
3. Bradycardia
4. Abdominal pain/tenderness

Correct answer: 3. Bradycardia

Explanation: Answer is C (Bradycardia): Diabetic ketoacodosis (DKA) is associated with tachycardia and not bradycardia.